Corynebacterium diphtheriae is arranged in-
1. Bamboo stick pattern
2. Cuneiform pattern
3. Fish in stream pattern
4. Rail road track pattern

Correct answer: 2. Cuneiform pattern

Explanation: B. anthracis C. diphtheriae Gram positive bacilli. (Bamboo stick appearance). Albert's staining -arranged in Chinese letter or Cuneiform (V-L shaped) pattern, bacilli are green in color, along with bluish-black granules. Vibrio cholerae Hemophilus ducreyi Fish in stream pattern or mucus flakes of stool. Rail road track pattern